Winging of scapula is due to paralysis of nerve -
1. Long thoracic
2. Axillary
3. Radial
4. Median

Correct answer: 1. Long thoracic

Explanation: Paralysis of serratus anterior presents with winging of scapula. Nerve to serratus anterior is also known as Long thoracic nerve.